Preplacement examination in dye industry includes all of the follow ing except -
1. Anemia
2. Asthma
3. Precancerous lession
4. Dermatitis

Correct answer: 1. Anemia

Explanation: Ans. is 'a' i.e., Anemia